In Alzheimer's disease, plaque is made up of -
1. Tau protein
2. Beta amyloid
3. Huntington
4. Alpha synnuclein

Correct answer: 2. Beta amyloid

Explanation: . Beta amyloid